Radioisotopes produce all the following except?
1. Alpha rays
2. Beta Rays
3. X rays
4. Gamma Rays

Correct answer: 3. X rays

Explanation: Radioactive elements emit Alpha Rays, Beta and Gamma Rays. X-rays are produced when fast moving electrons from cathode strike the target of Anode of Xray Tube.